Megalocornea is not seen in
1. Marfan Syndrome
2. Congenital Rubella
3. Alport syndrome
4. Down's syndrome

Correct answer: 2. Congenital Rubella

Explanation: Megalocornea is a feature of

Marfan Syndrome
Alport syndrome
Down's syndrome
Ehler-Danlos Syndrome